A biopsy was performed for a patient with recurrent chalazion involving the upper lid. The most likely diagnosis on histopathology is:
1. Sebaceous cell carcinoma
2. Basal cell carcinoma
3. Squamous cell carcinoma
4. Malignant Melanoma

Correct answer: 1. Sebaceous cell carcinoma

Explanation: Ans. (a) Sebaceous cell carcinomaRef: Kanski 7/e, p. 21, 4Sebaceous Gland Carcinoma* Typically arises from meibomian glands or glands of ZeisQ* Most frequently arises from the upper eyelids[?] where meibomian gland are most frequent (in contrast to basal cell and squamous cell carcinoma)* Highly malignant with mortality of 5-10%* Elderly females are typically affected.* Nodular SGC masquerades a 'chalazion' and hence any patient with recurrent chalazion with an unusual consistency should undergo a full thickness resection and histological examination to exclude SGC.